Which of the following is NOT an amide :
1. Procaine
2. Lignocaine
3. Bupivacaine
4. Mepivacaine

Correct answer: 1. Procaine

Explanation: Ans. is 'a' i.e. Procaine 61]Explained earlier